Location of a-1 sympathetic receptors-
1. Blood vessels
2. Branch
3. Sweat glands
4. Heart

Correct answer: 1. Blood vessels

Explanation: Ans. is 'a' i.e., Blood vessels Sympathetic Nervous SystemEffector OrgansParasympathetic Nervous SystemReceptor TypeResponseEyes Radial muscles of iris-a1Contraction (mydriasis)Sphincter muscle of irisContraction (miosis) -Ciliary muscleContraction for near vision -Heart SA nodeDecreased heart rateb1Increased heart rateAtria and ventricleDecreased atrial contractilityb1, b2Increased contractilityAV node and Purkinje fibersDecreased conduction velocityb1Increased conduction velocityArterioles Skin, splanchnic vessels-a1ConstrictionSkeletal muscle-a1, b2, MConstriction/DilationSystemic veins-a1, a2,b2Constriction/DilationBronchial smooth muscleContractionb2RelaxationStomach and Intestine Motility and toneIncreaseda1 a2, b2DecreasedSphinctersRelaxationa1ContractionScretionStimulation- GallbladderContractionb2RelaxationUrinary bladder DetrusorContractionb2RelaxationSphincterRelaxationa1ContractionUterus (pregnant)-a1, b2Contraction/RelaxationMale sex organsErectiona1EjaculationSkin Pilomotor muscles-a1 ContractionSweat glands-MSecretionLiver-a1, b2GlycogenolysisPancreas AciniIncreased secretiona1Decreased secretionIslet cells-a2,b2Decreased/ Increased secretionSalivary glandsprofuse, watery secretiona1/bThick, viscous secretion/Amylase secretionLacrimal glandsSecretion -Adipose tissue-b3Lipolysis